A 10 years child has unilateral nasal obstruction epistaxis, swelling over the cheek, the diagnosis is
1. Nasal polyp
2. Nasopharyngeal carcinoma
3. Angiofibroma
4. Foreign bodies

Correct answer: 3. Angiofibroma

Explanation: Ans. is 'c' i.e.Angiofibroma Angiofibroma ( Nasopharyngeal fibroma)Age group: the 2nd decade of life.Sex: Predominantly males ( almost exclusively males)*The site of origin*: posterior part of the nasal cavity close to the margin of sphenopalatine foramen.*Growth: From its site of origin the tumor grows into the nasal cavity, nasopharynx - pterygopalatine fossa - pterygomaxillary fossa - infratemporal fossa & checkClinical features :Profuse and recurrent epistasis ( MC presentation)*Progressive nasal obstruction*Conductive hearing loss and serous otitis media d/t obstruction of auditory tubeBroadening of nasal bridge*Proptosis*Swelling of cheek, * infratemporal fossaInvolvement of 2nd, 3rd, 4th, 6th C.N